Split Pleura sign is seen in
1. Lung abscess
2. Pleural Empyema
3. Pleural Fibroma
4. Dressler Syndrome

Correct answer: 2. Pleural Empyema

Explanation: The split pleura sign is seen with pleural empyemas and is considered the most reliable CT sign helping to distinguish an empyema from a peripheral pulmonary abscess. The sign results from fibrin coating both the parietal and visceral surfaces of the pleura with resulting ingrowth of blood vessels with accompanying enhancement. Both layers of the pleura can then be visualized as linear regions of enhancement that come together at the margins of the collection.Ref: Kazerooni Ella A and Barry H Gross. The Core Curriculum: Cardiopulmonary Imaging. 1st ed. Lippincott Williams & Wilkins, 2003. ISBN: 0781736552